Early in an attack of asthma, which of the following sets of arterial blood values is most likely?
1. Normal PO2 and normal PCO2
2. Normal PO2 and low PCO2
3. Normal PO2 and elevated PCO2
4. Low PO2 and low PCO2

Correct answer: 4. Low PO2 and low PCO2

Explanation: Uneven ventilation occurs early in an attack of asthma and leads to ventilation-perfusion imbalance and hypoxemia. At this stage, the patient is still able to "blow-off" carbon dioxide the least-obstructed regions of the lung, so the arterial PCO2 is normal or low. Hypoxemia characteristically precedes hypercarbia. Only when obstruction is so generalized and severe that alveolar ventilation falls does the arterial PCO2 rise. Thus, early in an attack of asthma, the arterial PCO2 is apt to be normal or low; the PO2 is always low. Ref: Cydulka R.K. (2011). Chapter 72. Acute Asthma in Adults. In J.E. Tintinalli, J.S. Stapczynski, D.M. Cline, O.J. Ma, R.K. Cydulka, G.D. Meckler (Eds), Tintinalli's Emergency Medicine: A Comprehensive Study Guide, 7e.